According to the "Treatment of terminally-ill patients bill, 2016", incompetent patient is below the age of?
1. 12 years
2. 16 years
3. 18 years
4. 20 years

Correct answer: 2. 16 years

Explanation: Ans is'b'i.e.,16years"Incompetent patient" means a patient who is a minor below the age of sixteen years or a person of unsound mind or a patient who is unable toUnderstand the information relevant to an informed decision about his medical treatment;Retain that information;Use or weigh that information as part of the process of making his informed decision;Make an informed decision because of impairment of or a disturbance in the functioning of his mind or brain; orCommunicate his informed decision (whether by speech, language or any other mode) as to medical treatment